Drug of choice for bacterial vaginosis is:
1. Metronidazole
2. Ampicillin
3. Ciprofloxacin
4. Fluconazole

Correct answer: 1. Metronidazole

Explanation: Trichomonas vaginitis :It is the drug of choice; 400 mg TDS for 7 days achieves nearly 100% cure. Additional intravaginal treatment has been given, but is not necessary except in refractory cases. The male partner should be treated concurrently in cases of recurrent infections. Nonspecific bacterial vaginosis also respondst is the drug of choice; 400 mg TDS for 7 days achieves nearly 100% cure. Additional intravaginal treatment has been given, but is not necessary except in refractory cases. The male partner should be treated concurrently in cases of recurrent infections. Nonspecific bacterial vaginosis also responds ESSENTIALS OF MEDICAL PHARMACOLOGY page no.838